Yellow Phosphorous is preserved in
1. Alcohol
2. Kerosene
3. Formalin
4. Water

Correct answer: 4. Water

Explanation: Phosphorus occurs in two forms, namely yellow or white, and red. The yellow phosphorus is highly toxic. It is waxy, translucent and white. When exposed to air, it becomes yellow. It is not soluble in water. So, for preservation purposes, it is kept under water. When exposed to air, it emits fumes of phosphorus trioxide as a result of oxidation. It is also used in fireworks, gunpowder, and incendiary ammunition.Red phosphorus is stable at room temperature and is not oxidized as yellow phosphorus does. It is used in matchbox industry. It is not present on heads of matchsticks but on sides of matchbox along with the powdered glass. The heads of safety match sticks contain potassium chlorate and antimony sulfide.Ref: RK Sharma; 3rd edition; Chapter 31; Page no: 252